The most common complication of hypermature sclerotic cataract is –
1. Dislocation of the lens
2. Phakomorphic glaucoma
3. Uveitis
4. Neovascularization of retina

Correct answer: 1. Dislocation of the lens

Explanation: " Sometimes, the loss of fluid from the mature cataractous lens continues and it becomes very much inspissated and shrunken (Hypermature sclerotic cataract).
The lens appears yellow owing to the deposition of cholesterol crystals, while dense capsular cataract is formed at the anterior pole due to vicarious proliferation of the anterior cubical cells. The shrinkage of the lens leads to the deepening of the anterior chamber and tremulousness of the iris.
The associated degeneration of the zonules may lead to dislocation of such a lens which can produce iridocyclitis."